An important measure of the communicability of a disease is -
1. Case fatality rate
2. Disease specific mortality rate
3. Infection rate
4. Secondary attack rate

Correct answer: 4. Secondary attack rate